The following drug is indicated in the treatment of pityriasis versicolar :
1. Ketoconazole
2. Metronidazole
3. Griseofulvin
4. Chloroquine

Correct answer: 1. Ketoconazole

Explanation: A i.e. Ketoconazole - Pityriasis versicolor is superficial mycosis caused by mycelial phase of yeast Malassezia (furfur, globosa, sympodialis)Q. It presents with multiple, small, hypopigmented (usually or pink-salmon or hyperpigmented) scaly macules that develop insidiously over the trunk, chest, back and shoulders in young adultsQ. Macules start around the hair follicle and then merge with each other to form large areasQ. The characteristic scale is futfuraceous or dust like (fine, branny scaling)Q. Microscopic examination (in 10% KOH) show bananas and grapes (or spaghetti and meat balls) appearance and Wood's lamp examination show apple (yellow) green fluoresce. - Griseofulvin is used systemically for dermatophytosis (tinea infections) but it is ineffective topicallyQ and has no role in treatment of tinea versicolor and candidaQ.